Vitamin K dependent coagulation factors include:
1. II and III
2. IX and X
3. III and V
4. VIII and XII

Correct answer: 2. IX and X

Explanation: B i.e. IX and X